Interval between Primary case and Secondary case known as:-
1. Incubation period
2. Serial interval
3. Generation time
4. Case detection time

Correct answer: 2. Serial interval

Explanation: Serial Interval - Interval between primary case and secondary case. Incubation Period- Entry of organism till first sign / Symptom. Generation time - Interval between entry of organism till maximum infectivity of that person or case.